A Hanging Curtain Sign is seen in:
1. Hordeolum externum
2. Psoriasis
3. Lichen Planus
4. Pityriasis Rosea

Correct answer: 4. Pityriasis Rosea

Explanation: Ans. d. Pityriasis RoseaHanging certain sign, collarette of scales, cigarette paper scales all are seen pityriasis rosea